Which is not an inflammatory stage in pneumonia -
1. Organisation
2. Congestion
3. Resolution
4. Hepatisation

Correct answer: 1. Organisation